Which of the following anti-malarial drug is gameticidal for all species of Plasmodium?
1. Quinine
2. Primaquine
3. Chloroquine
4. Artesunate

Correct answer: 2. Primaquine

Explanation: PRIMAQUINE - Kills Gametes of All 4 Species. So It is used for preventing the transmission of the malaria. Chloroquine and quinine can kill the gametes of mainly P vivax. Exo-erythrocytic stage: Radical cure of malaria PRIMAQUINE - given for 2 weeks TAFENOQUINE - Single Dose Erythrocytic stage:These drugs are used to treat malaria Fast Acting Drugs Slow Acting Drugs M - Mefloquine - Proguanil A - Artemisinin - Pyrimethamine C - Chloroquine - Sulfadoxine H - Halofantrine - Doxycycline A - Atovaquone R - Res-Q (Quinine)